Mesovarium
1. Attaches ovary to uterus
2. Attaches ovary to lateral pelvic wall
3. Attaches ovary to broad ligament
4. Attaches ovary to ovarian ligament

Correct answer: 3. Attaches ovary to broad ligament

Explanation: Mesovarium attaches ovary to posterior fold of peritoneum of broad ligament and contains vessels, lymphatics and nerves of ovary.